Contrecoup injury is seen in -
1. Head injury
2. Spinal injury
3. Hand injury
4. Abdominal injury

Correct answer: 1. Head injury